Atropine is drug of choice in
1. Chorioretinitis
2. Lens induced glaucoma
3. Iridocyclitis
4. Close angle glaucoma

Correct answer: 3. Iridocyclitis

Explanation: C i.e. Iridocyclitis Steroid > Atropine is drug of choice for acute iridocyclitis (anterior uveitis).Q Atropine is contraindicated in glucomas where as pilocarpine is contraindicated in anterior uveitis. Q